Right adrenal vein drains into:
1. Right renal vein
2. Right lumbar vein
3. Inferior venecava
4. Superior venecava

Correct answer: 3. Inferior venecava

Explanation: Ans: c) IVC Venous drainageRight suprarenal vein- I VCLeft suprarenal vein - Left renal veinArterial supplyArtervbranch ofSuperior suprarenal arteryMiddle suprarenal arteryInferior suprarenal arteryInferior phrenic arteryAbdominal aortaRenal arteryNote Accessory suprarenal glands are seen in loose areolar tissue around the main glands, spermatic cord, epididymis and broad ligament of uterus.